Pigmentation and icthyosis are side effects of ?
1. Clofazamine
2. Rifampicin
3. Dapsone
4. Ethionamide

Correct answer: 1. Clofazamine

Explanation: Ans. is 'a' i.e., Clofazamine Clofazimine Clofazimine is a leprostatic drug. It acts by interfering the template function of DNA. Adverse effects of clofazimine